Leishmania is cultured in media:
1. Chocolate agar
2. NNN
3. Tellurite
4. Sabourauds

Correct answer: 2. NNN

Explanation: Ans. (b)Blood culture is a less sensitive method for diagnosis of Leishmania. It is a slow method and takes a long time (about 1 month). About 1-2 ml of blood is taken aseptically from a vein and diluted in 10 ml of citrated saline solution. The cells are then either allowed to settle at 22degC in an incubator overnight or centrifuged. The cellular deposit is then inoculated into the water of condensation of NNN medium and incubated at 22degC for 1 to 4 weeks. At the end of each week, a drop of condensation fluid is examined for promastigote forms.